Guerin fracture is:
1. Maxillary fracture
2. Maxillary and zygomatic fracture
3. Maxillary and nasal bone fracture
4. Nasal bone fracture only

Correct answer: 1. Maxillary fracture